Normal reticulocyte count at birth is
1. 1-2%
2. 2-6%
3. 6-10%
4. 30-40%

Correct answer: 2. 2-6%

Explanation: Reticulocytes are 2 to 6 % of rbc count in the circulation at bihthey decreade to less than 1% during week after birth at which level they remain throughout life